Millards 'Rule of Ten' includes all except ?
1. 10 lbs
2. 10 weeks
3. 10 gm % Hemoglobin
4. 10 months

Correct answer: 4. 10 months

Explanation: Ans. is 'd' i.e., 10 months 'Rule of Ten' is a useful guide for timing of surgery for Cleft Lip. According to this rule, lip repair is carried out when the child. has attained a weight of 10 lbs is 10 weeks old has a hemoglobin conc. higher than 10 mg/dl.